Km increases, but Vmax remains same. This is.... Inhibition:
1. Competitive
2. Non-competitive
3. Irreversible
4. Uncompetitive

Correct answer: 1. Competitive

Explanation: Effect on Kmand Vmaxfor different type of Inhibitors Type of inhibitor Km Vmax Competitive Increased Same Non - Competitive Same Decreased Uncompetitive Decreased Decreased